Drug treatment of acne vulgaris – a) Minocyclineb) Penicillinc) Co-triamoxazoled) Gentamycine) Tetracycline
1. ace
2. bde
3. cde
4. ade

Correct answer: 1. ace